Dental papilla give rise to -
1. Enamel
2. Dental cuticle
3. Tooth pulp
4. None

Correct answer: 3. Tooth pulp

Explanation: Ans. is 'c' i.e., Tooth pulp ]o The mesenchymal cell's of dental papillae forms:Odontoblasts w hich form dentineTooth pulpo Inner epithelial cells form ameloblasts which give rise to enamel.